Example of Multiphase screening is:
1. Chest X-ray for TB large population
2. Annual health check up
3. Pap smear in old females
4. Mammography in all young female

Correct answer: 2. Annual health check up

Explanation: Multiphasic screening: application of two or more screening tests in combination to a large number of people at one time. Example: annual health check ups. Multipurpose screening: screening by more than one test done simultaneously to detect more than one disease. Example: screening of a pregnant women for VDRL, HIV, HBV serological tests on a blood sample. Mass screening: Screening test applied on large population. Eg- CXR in elderly. High risk/ selective screening: Applied on high risk groups .Eg- screening for HIV in commercial sex workers.